4-day-old newborn baby having icterus involving sole, bilirubin level (mg/dl) -
1. 12
2. 8
3. 6
4. 15

Correct answer: 4. 15

Explanation: Dermal staining of bilirubin Described by Kramer
Jaundice progress in cephalocaudal direcon o Divided in 5 zone Zone Bilirubin


4-6 mg/dl - Face
6-8 mg/dl - Trun k & upper abdomen
8-12 mg/dl - Lower abdomen & thign
12-14 mg/dl - Arm & leg 5) > 15 mg/dl - Palm & sol